Anaemia in CRF is due to -
1. EPO
2. RBC survival
3. Folate
4. All

Correct answer: 4. All

Explanation: Ans. is 'a' led EPO; 'b' i.e., led RBC survival; 'c' i.e., .Led folate Anemia of Renal disease o Normocytic -normochromic anemia is observed in renal failure The primary cause of anemia is insufficient production of erythropoietin (EPO). o Other important mechanism that play an important role in anemia of CRF is similar to the mechanism that involves in the pathogenesis of anemia of chronic disease, i.e., inflammatory cytokine mediated anemia due to increased hepicidin and decreased EPO. o Other contributing factors to anemia in CRF Gastrointestinal bleeding Hypothyroidism Secondary hyperparathyroidism Shortened red cell survival Aluminium toxicty Folate deficiency Vit B12 deficiency Note : In CRF life span of RBCs is reduced due to uremic environment and not due to decreased EPO. EPO has no effect on RBC life span.